Hanging is established by :
1. Fracture of hyoid cartilage
2. Fracture of thyroid cartilage
3. Staining of saliva
4. All

Correct answer: 3. Staining of saliva

Explanation: C i.e. Staining of saliva